Ribs are developed from -
1. Cloaca
2. Sclerotome
3. Endodermal cloaca
4. Primitive gut

Correct answer: 2. Sclerotome

Explanation: Ans. is 'b' i.e., Sclerotome o Ribs are derived from lateral cells of sclerotome.Derivatives of paraxial mesodermo Paraaxial mesoderm is organized into somites which in turn gives rise toSclerotomes: Form axial skeleton including vertebrae, ribs and parts of neurocranium,Myotomes : Form all voluntary (skeletal) muscles of head, trunk and limbs,Dermatomes : Form dermis of skin, especially over dorsal regions. SCLEROTOME-SOMITE|Lateral sclerotomeVertebral arch ribs|Dorsal sclerotomeSpinous process|Ventral sclerotomeVertebral bodyAnnulus fibrosus|DERMOMTOYOMESkeletal muscleDemits